Short-chain fatty acids produced by bacteria are maximally absorbed in
1. Duodenum
2. jejunum
3. ileum
4. Colon

Correct answer: 4. Colon

Explanation: Short-chain fatty acids are produced in the colon, by the action of colonic bacteria on complex carbohydrates, and other dietary components that could not be digested in the small intestine. These short-chain fatty acids are absorbed from the colon.